Duret haemorrhage is seen in
1. Cerebrum
2. Thalamus
3. Brainstem
4. Pituitary body

Correct answer: 3. Brainstem

Explanation: Duret haemorrhage - Delayed, secondary brainstem hemorrhages seen in midbrain and pons. - Occurs in cranio-cerebral trauma victims - They are caused by a traumatic downward displacement of the brainstem.